All are associated with coarctation of aorta, except
1. Patent ductus arteriosus
2. Renal artery stenosis
3. Bicuspid aortic valve
4. Turner's syndrome

Correct answer: 2. Renal artery stenosis